Female pseudohermaphroditism - M.C cause-
1. Maternal ovarian tumor
2. Materan drug intake
3. CAH
4. Chromosomal abnormalities

Correct answer: 3. CAH

Explanation: Ans. is 'c' i.e., CAH Repeato Female pseudohermaphroditism.# Gentotype is XX# Gonads are ovaries# External genitalia are virilized (male differentiation).# As there is no mullarian inhibiting factor, mullarian duct develops into uterus tubes and ovary. But due to presence of androgen external genitalia are virilized.Causes are:Congenital adrenal hvperplasia(most common)21 hydroxylase deficiencyII beta hydroxylase deficiencyMaternal virilizing tumor ArrhenoblastomaMaternal medications with androgen.